Which of the following is/are true about dobutamine:
1. Selective (3 2 receptor agonist
2. T ventricular filling pressure
3. Half life is about 2 min
4. Dopamine receptor agonist

Correct answer: 3. Half life is about 2 min

Explanation: Ans. (C) Half life is about 2 minDobutamine:Derivative of dopamine, but not a Dl ot D2 receptor agonist.Has action on alpha & beta receptors also.Yet, only prominent action of clinically employed doses is increased force of cardiac contraction & outPut, without significant change in heart rate, peripheral resistance & BP.Considered to be a relatively selective beta-1 agonist.Half-life of about 2 minutes & onset of action is rapid.Used as an inotroPic agent in pump failure accompanying myocardial infarction, cardiac surgery & for short term management of severe congestive heart failure.